Chalky white optic disc on fundus examination is seen in all except-
1. Syphilis
2. Lebers hereditary optic neuropathy
3. Post papilledema optic neuritis
4. Traumatic injury to the optic nerve

Correct answer: 3. Post papilledema optic neuritis

Explanation: Chalky white disc is seen in primary optic atrophy. Trauma to optic nerve, Tabes dorsalis (syphilis), and Leber's hereditary neuritis can cause primary optic atrophy.
In post papilledematous (Secondary) optic atrophy the disc is pale or dirty/ grey disc.